For the immediately life-threatening injuries of the chest "Flail chest", select the proper intervention (SELECT 1 INTERVENTION)
1. Endotracheal intubation
2. Cricothyroidotomy
3. Subxiphoid window
4. Tube thoracostomy

Correct answer: 1. Endotracheal intubation

Explanation: Flail chest describes the paradoxical motion of the chest wall that occurs when consecutive ribs are broken in more than one place, usually following blunt trauma to the thorax. Respiratory distress may ensue when the noncompliant flail segment interferes with generation of adequate positive and negative intrathoracic pressure needed to move air through the trachea. In addition, a blow sufficiently violent to cause a flail chest may also contuse the underlying pulmonary parenchyma, which compounds the respiratory distress. Treatment consists of stabilizing the chest wall. Although some temporary benefit may be gained by external buttressing of the chest (e.g., with sandbags, or by turning the patient onto the affected side), endotracheal intubation provides rapid and safe control of the airway, as well as stabilization of the chest internally by positive pressure ventilation.